The treatment of choice of fellow eye of acute angle closure glaucoma is
1. Pilocarpine
2. Nd:YAG laser iridotomy
3. Peripheral iridectomy
4. Careful follow up

Correct answer: 2. Nd:YAG laser iridotomy

Explanation: B i.e. Nd: YAG Laser iridotomy